Which of the following systems is used for classification of Diabetic foot gangrene:
1. Texas classification
2. Rutherford Classification
3. Fontaine Classification
4. All of the above

Correct answer: 1. Texas classification

Explanation: Answer is A (Texas Classification): University of Texas classification of diabetic foot wounds and Wagner's classification for foot ulcers (MeggittWagner classification) are the two most commonly used classification systems for diabetic foot ulcers. The Rutherford classification and The Fontaine classification are commonly used clinical staging system for describing peripheral arterial disease. Peripheral arterial disease are typically described in Fontaine's stages and Rutherford's categories.